A 36 year old male with Cavitatory Lung lesions, Sinusitis, Ulcers in the mouth. RBC casts in the urine can be seen. Diagnosis is
1. Granulomatosis with polyganitis
2. Eosinophilic with Polyangitis
3. IgA Vasculitis
4. Microscopic polyangitis

Correct answer: 1. Granulomatosis with polyganitis

Explanation: Wegener's also called Granulomatosis with polyangitis.